Massive transfusion of citrated blood leads to all except
1. Metabolic acidosis
2. Hypothermia
3. Hyponatremia
4. Hypocalcemia

Correct answer: 3. Hyponatremia

Explanation: Massive blood transfusion results in

Metabolic acidosis( lactate from RBCs, citric acid as anticoagulant)
Hyperkalemia( stored blood K+ reaches 30mmol/L after 3 weeks)
Hypothermia (as stored blood is kept at 4°C)
Decreased ionized calcium( due to citrate binding to calcium).